Which of these statements is false for lesions of Erythema nodosum:
1. They are considered as hypersensitivity reaction
2. The skin overlying the lesions is red, smooth and shiny
3. They are usually non tender
4. They can be associated with tuberculosis

Correct answer: 3. They are usually non tender

Explanation: C i.e. They are usually tender - Erythema nodosum is a symptom complex characterized by tender, erythematous non ulcerating nodules that appear most commonly on the extensor surface (shin) of the lower legsQ with systemic symptoms (fever, malaise etc). - Erythema induratum (nodular vasculitis) presents with asymptomatic/moderately tender erythematous suppurative nodule/ plaque on postero lateral aspect (or calf) of lower leg in healthy middle aged obese women having thick (heavy column like) calvesQ. Lesions ulcerate & heal with atrophic scar. - Nodular panniculitis presents with systemic manifestationQ with crops of dull red, tender nodules maximal on lower limbs (usually calf) which may ulcerate with drainage of oily brownish serous fluid eventually Vt atrophic scarringQ. * Erythema nodosum leprosum is a/w treatment in lepromatous leprosy (Hensen's disease). Involvement of both upper & lower extremities is the ruleQ & facial lesions occur in half of the patients. * Urticarial vasculitis eruptions are generalized wheals or erythematous plaques with central clearing & often accompanied by painful or burning sensation. Lesions last for 24 hours unlike usual urticarial lesions which clear quickly. Malaise, fever, ahragia, nephritis occur frequently.